HPV causes which carcinoma -
1. Carcinoma cervix
2. Gastric carcinoma
3. Maxillary carcinoma
4. Colon carcinoma

Correct answer: 1. Carcinoma cervix

Explanation: Ans. is 'a' i.e., Carcinoma cervix o Cancers associated with HPV are:-1) Cervical carcinoma2) Vulvar carcinoma3) Vaginal carcinoma4) Anal carcinoma5) Penile carcinoma6) Oropharyngeal carcinoma (soft palate, base of tongue, tonsils).